The most common adverse effect with ticlopidine is?
1. Neutropenia
2. Diarrhea
3. Hemorrhage
4. Thrombocytopenic purpura

Correct answer: 2. Diarrhea

Explanation: Ans. is 'b' i.e., Diarrhea o Common side effects of ticlopidine are diarrhea, vomiting, abdominal pain, headache, tinnitus and skin rash. o Serious adverse effects are neutropenia, thrombocytopenia, hemolysis, bleeding and jaundice.